All of the following are histological features of coeliac disease, EXCEPT:
1. Crypt hyperplasia
2. Increase in thickness of the mucosa
3. Increase in intraepithelial lymphocytes
4. Increase in inflammatory cells in lamina propria

Correct answer: 2. Increase in thickness of the mucosa

Explanation: Celiac disease also known as gluten-sensitive enteropathy is an immune mediated enteropathy triggered by the ingestion of gluten-containing cereals, such as wheat, rye, or barley in genetically predisposed individuals. The characteristic histologic features include diffuse enteritis with marked atrophy or total loss of villi, increase in the number of intraepithelial lymphocytes, elongation and hyperplasia of the crypts, with the overall thickness of the mucosa remaining the same. Ref: Robbins Pathologic Basis of Disease, 6th Edition, Page 811 and 8th Edition, Page 794